A software engineer had financial losses. After that he went to a new place  and changed his name and started the career as a cab driver. He had no knowledge about his past life. Diagnosis:
1. Ganser syndrome
2. Dissociative amnesia
3. Dissociative fugue
4. Dissociative identity disorder

Correct answer: 3. Dissociative fugue

Explanation: Dissociative fugue is characterized by sudden, unexpected journey away from home to a new place and assuming a new identity with inability to recall past.